Lithogenic bile contains an increased amout of -
1. Bile acid
2. Bile salt
3. Cholesterol
4. Bilirubin

Correct answer: 3. Cholesterol